The chromosomal karyotype in Patau syndrome is -
1. 47)0C,+21
2. 46XX/47)0C+18
3. 45XX,der(14;21)
4. 47XX,+13

Correct answer: 4. 47XX,+13

Explanation: Ans. is 'd' i.e., 47XX +13